A 64 year old lady Kamla complains of severe unilateral headache on the right side and blindness for 2 days. On examination there is a thick cord like structure on the lateral side of the head. The ESR is 80 mm/hr in the first hour. The most likely diagnosis is:
1. Temporal arteritis
2. Migraine
3. Cluster headache
4. Sinusitis

Correct answer: 1. Temporal arteritis

Explanation: Answer is A (Temporal Arteritis): The symptom and the laboratory examination of the patients almost confirms the diagnosis of temporal arteritis. In an elderly patient who presents with headache, visual symptoms (blindness), malaise, fever, weakness with or without pain or tenderness over temporal artery (thick cord like structure) and a raised ESR, it is definitively suggestive of Temporal arteritis